A 24 year girl named Heena is often flamboyantly dressed and goes out on dates frequently. Although she changed boyfriend almost monthly, but she used to plan her marriage and future with each of them with equal enthusiasm and optimism.She would often make stories to seek attention. She would feel uncomfortable at big parties leave them midway.Heena made promises to other people that were impossible to keep but seemed to be aimed at winning their approval; when she broke the promise, she usually made up a story designed to elicit sympathy and compassion. Diagnosis is ?
1. Borderline personality disorder
2. Histrionic personality disorder
3. Dependent personality disorder
4. Antisocial personality disorder

Correct answer: 2. Histrionic personality disorder

Explanation: Ans. is'b' i.e Histrionic personality disorderPoints indicating towards diagnosis of Histrionic personality disorder areShe is often flamboyantly dressed and makes stories - to impress others and seek attention.She changes boyfriend almost every month but still remains enthusiastic means about each of them indicates that- she is emotionally labile.Leaves big parties midway - she is not comfortable where she is not the centre of attention. Makes false promises to win approval.